The organism most frequently related to mediastinal fibrosis is -
1. Actinomycosis
2. Histoplasma
3. Hansen's bacillus
4. Staphylococcus

Correct answer: 2. Histoplasma

Explanation: The organism most frequently related to mediastinal fibrosis is Histoplasma.
• The spectrum of chronic mediastinitis ranges from granulomatous inflammation of the lymph nodes in the mediastinum to fibrosing mediastinitis.
• Most cases are due to TB or histoplasmosis, but sarcoidosis, silicosis, and other fungal diseases are at times causative.
Clinical Features
• Patients are usually asymptomatic.
• Those with fibrosing mediastinitis usually have signs of compression of some mediastinal structure such as the SVC or large airways, phrenic or RLN paralysis, or obstruction of the pulmonary artery or proximal pulmonary veins.
Treatment
• Other than ATT for tuberculous mediastinitis, no medical or surgical therapy has been demonstrated to be effective for mediastinal fibrosis.